All of the following are associated with proximal muscle weakness EXCEPT: -
1. Spinomuscular atrophy
2. Duchenis muscular dystrophy
3. Polymyositis
4. Myotonic dystrophy

Correct answer: 4. Myotonic dystrophy

Explanation: Ans. is 'd' is myotonic dystrophy The general rule in that:Myopathies have proximal muscle weakness.neuropathies have distal muscle weakness.Myotonic dystrophy is an exception to this general rule and mainly involves the distal muscles.